Which of the following is the major proteoglycan of synovial fluid ?
1. Chondroitin sulfate
2. Dermatan sulfate
3. Heparan sulfate
4. Hyaluronic acid

Correct answer: 4. Hyaluronic acid

Explanation: Ans. is 'd' i.e., Hyaluronic acid DistributionHyaluronic acid Synovial fluid (provides viscosity), vitreous humor, loose connective tissue)Chondroitin sulfate Cartilage, bone, tendon, ligament, cornea Dermatan sulfate Pliability of skin, and heart valves, wide distribution Keratan sulfate Horny structures like hair, nails, claws, horn, hoofs Also present in cornea Heparin Heparan Mast cellssulfate Skin fibroblast, aortic wall